One mg. of Niacin is produced by.......................... mg. of Tryptophan-
1. 22
2. 37
3. 55
4. 60

Correct answer: 4. 60

Explanation: Ans. is 'd' i.e., 60 About 60 mg of tryptophan is required to result in I mg of niacin.